False statement regarding retinal detachment is:
1. Rhegmatogenous detachment is commonest type
2. May follow aphakia/ pseudophakia
3. Fellow eye is never involved
4. Surgery has good success rate

Correct answer: 3. Fellow eye is never involved

Explanation: Ans. C: Fellow eye is never involved The risk of developing a retinal detachment in the fellow eye of such patients ranges from about 15% in phakic eyes, to over a third in aphakic or pseudophakic eyes